Opaque white areas covering more than 25% but less than 50% of the tooth surface is given the Dean's score of:
1. 1
2. 2
3. 3
4. 4

Correct answer: 2. 2